An X-linked recessive disease is characterized by the following inheritance :
1. Vertical transmission
2. 50% female carriers if male is affected and female is normal
3. 50% male affected if female is carrier and male is normal
4. 50% male carriers if female is affected and male is normal

Correct answer: 3. 50% male affected if female is carrier and male is normal

Explanation: Answer is C (50% male affected if female is carrier)